Raxiobacumab is used in:-
1. Anthrax
2. Pontiac fever
3. Listeria
4. Clostridium

Correct answer: 1. Anthrax

Explanation: Raxibacumab is used for Anthrax It is a monoclonal antibody and it contains 'bac' in its name so effective against bacillus and contains 'ax' so effective for anthrax.